Most common side effect of inhalational beclomethasone is -
1. Adrenal suppression
2. Oropharyngeal candidiasis
3. Bronchoconstriction
4. Hepatitis

Correct answer: 2. Oropharyngeal candidiasis

Explanation: Ans. is 'b' i.e., Oropharyngeal candidiasis